Thickness of lead apron to prevent radiation –
1. 1mm
2. 3mm
3. 0.5mm
4. 7mm

Correct answer: 3. 0.5mm

Explanation: Lead aprons (0.5mm of lead) will reduce the intensity of scattered X-ray over 90% and should be worn by all workers regularIy associated with x-ray procedures.